The objective of the access cavity preparation is to gain direct access to
1. Pulp chamber
2. Canal orifice
3. Apical foramen
4. Middle third of the canal

Correct answer: 3. Apical foramen